Which of the following is the muscle of third pharyngeal arch?
1. Stylohyoid
2. Mylohyoid
3. Cricothyroid
4. Stylopharyngeus

Correct answer: 4. Stylopharyngeus

Explanation: HUMAN EMBRYOLOGY-INDERBIR SINGH TENTH EDITION-PAGE NO:132